Kala-azar is found in all endemic areas, except:
1. West Bengal
2. UP
3. Bihar
4. Assam

Correct answer: 4. Assam

Explanation: Ans. d. AssamRef: Parks Text book of Preventive and Social Medicine, 24th Ed; Page No-322Kala-azar caused by Leishmania donovani; transmitted by female phlebotomine sandfly.It is endemic in 54 districts of Bihar, Jharkhand, West Bengal, Uttar Pradesh.Incubation period 1-4 months3 types of leishmaniasisVisceral leishmaniasisCutaneous leishmaniasisMucocutaneous leishmaniasis